Aberrant regeneration does not occur after injury to the oculomotor nerve with which one of the following conditions?
1. Trauma
2. Ischemia secondary to diabetes
3. Tumor compression
4. Aneurysm

Correct answer: 2. Ischemia secondary to diabetes

Explanation: Damage to the oculomotor nerve with trauma or compressive lesions can cause aberrant regeneration. Ischemic neuropathy does not result in aberrant regeneration.